In performing an elective tracheostomy, the trachea should be entered
1. Below the cricoid
2. Above the cricoid
3. Through the cricothyroid membrane
4. Laterally below the thyroid cartilage

Correct answer: 1. Below the cricoid